Which of the following is a true statement:
1. Placenta is formed at morula stage
2. Implantation takes place on 10th day
3. During initial weeks corpus luteum survival is due to LH
4. Fertilization takes place in ampula

Correct answer: 4. Fertilization takes place in ampula

Explanation: Ans. (d) Fertilization takes place in ampulaRef.: D.C. Dutta 8th ed. / 32-36, 7th ed. 121-22Option A-Placenta is formed by trophoblast which 1st appear at blastocyst stage, hence option A is wrong.Option B-Implantation takes place on 6th day.Option C-During initial weeks corpus leuteum surviaval is due to HCG, not due to LH.Option D-site of fertilization is ampulla.